Which is always present in bacteria ?
1. Cell wall
2. Cytoplasmic membrane
3. Mitochondria
4. Nucleoli

Correct answer: 2. Cytoplasmic membrane

Explanation: Ans. b. Cytoplasmic membrane